A mill-wheel type of murmur during laparoscopy suggests
1. Tension pneumothorax
2. intra-abdominal bleeding
3. Gas embolism
4. pre-existing valvular disease

Correct answer: 3. Gas embolism

Explanation: The 'water-wheel' or 'mill-wheel' murmur is classically associated with large intracardiac air emboli and described as a "characteristic splashing auscultatory sound due to the presence of gas in the cardiac chambers." . Most venous air (gas) emboli are iatrogenic . Ref Davidson edition23rd pg 620